Structures that pass from thorax to abdomen behind the diaphragm are all except:
1. Aorta
2. Azygos vein
3. Thoracic duct
4. Greater splanchnic nerve

Correct answer: 4. Greater splanchnic nerve

Explanation: The aorta, thoracic duct, azygous vein passes through the aortic opening, which lies behind the diaphragm. The greater splanchnic nerve along with the lesser splanchnic nerve passes through the crus of diaphragm but not behind the diaphragm.Ref: Human Anatomy, B D Chaurasia, 4th Edition, Volume 1, Chapter 12, Page 185; Clinical Anatomy by Systems, Richard S. Snell, 2007 Edition, Chapter 3, Page 87.